All of the following are features of delirium except
1. Clouding of consciousness is pathognomic
2. Most common organic mental disorder with an chronic onset
3. After cataract surgery it is known as black patch delirium
4. Floccillations are seen

Correct answer: 2. Most common organic mental disorder with an chronic onset

Explanation: Please remember that the hallmark symptom of delirium is clouding of consciousness, which is associated with impairment of global cognitive functions, most importantly attention. DELIRIUM: It is the M /C Organic mental disorder with an acute onset More common in elderly patients It is also known as ICU-psychosis, Organic Psychosis, Acute Brain Failure etc Precipitating factors: Medical Causes Drugs Surgical causes 1. Fever 1. Anticholinergics 1. Head injury 2. Encephalitis 2. Alcohol and sedatives withdrawal 2. Post-operative 3. Pneumonia 3. Narcotics 3. Fractures (e.g., hip ) and trauma 4. Endocrinal abnormalities 4. Dhatura 4. Admission to ICU 5. Dyselectrolemia 5. Treatment with multiple drugs 5. Severe burns Delirium can also occur when there is sensory deprivation. (e.g., after cataract surgery- known as Black patch delirium) Clinical features: Hallmark- Clouding of consciousness Disorientation to time, place and person Poor attention and concentration Sleep wake cycle disturbances Evening worsening of symptoms-Sun downing phenomenon Floccillations/carphologia:Picking behaviour of bedsheets Perceptual disturbances like illusions and hallucinations Restlessness Neurotransmitter involved: | Acetylcholine Structure involved:Reticular formation EEG finding: Generalized slowing Treatment: Treatment of underlying cause DOC: Haloperidol